Detergents used to disinfect dental instruments in the office kill bacteria by interfering with functions of the cell
1. wall
2. nucleus
3. membrane
4. capsule

Correct answer: 3. membrane